Which of the following is not an established antimicrobial drug synergism at clinical level?
1. Amphotericin B and flucytosine in cryptococcal meningitis
2. Carbenicillin and gentamicin in pseudomonal infections
3. Penicillin and tetracycline in bacterial meningitis
4. Trimethoprim and sulfamethoxazole in coliform infections

Correct answer: 3. Penicillin and tetracycline in bacterial meningitis

Explanation: Combination of a bacteriostatic and a bactericidal drug in most cases is antagonistic. Bactericidal drugs act on fast multiplying organisms whereas bacteriostatic drugs inhibit the growth. Here, penicillins are bactericidal whereas tetracyclines are bacteriostatic.